Acute hemorrhagic conjunctivitis is seen with-
1. Adenovirus
2. Staphylococcal
3. Pneumococcus
4. Hemophilus

Correct answer: 1. Adenovirus

Explanation: Ans. is 'a' i.e., Adenovirus * Hemorrhagic conjunctivitis is caused by picomaviruses (Enterovirus - 70, coxsackievirus A24) and sometimes Adenovirus type 11.